'Mobile eye clinics' is an example for:-
1. Primordial Prevention
2. Primary Prevention
3. Secondary Prevention
4. Tertiary Prevention

Correct answer: 3. Secondary Prevention

Explanation: - Mobile eye clinics may conduct camps in villages where facilities are not much available. - They conduct screening & diagnostic tests & gives treatment accordingly. - As early diagnosis & treatment comes under 2nd level of prevention, answer is option-3.